Which of the following metabolic alterations would most likely be present in a chronic alcoholic compared to a non-drinker?
1. Fatty acid oxidation is stimulated
2. Gluconeogenesis is stimulated
3. Glycerophosphate dehydrogenase is stimulated
4. The ratio of NADH to NAD+ is increased

Correct answer: 4. The ratio of NADH to NAD+ is increased

Explanation: The principal route of metabolism of ethanol is alcohol dehydrogenase, which uses hydrogen from ethanol to form NADH from NAD+, markedly increasing the ratio of NADH to NAD+. The relative excess of NADH has a number of effects, including inhibiting, rather than stimulating fatty acid oxidation; inhibiting gluconeogenesis rather than stimulating it; inhibiting, rather than stimulating glycerophosphate dehydrogenase; and favoring the formation of lactate rather than pyruvate from glycolysis (thereby increasing, rather than decreasing the lactate/pyruvate ratio;). Ref: Botham K.M., Mayes P.A. (2011). Chapter 12. Biologic Oxidation. In D.A. Bender, K.M. Botham, P.A. Weil, P.J. Kennelly, R.K. Murray, V.W. Rodwell (Eds),Harper's Illustrated Biochemistry, 29e.